Long QT syndrome- All of the following may be a cause in children except -
1. Romano Ward syndrome
2. Jarvell and Lange Nielson Syndrome
3. Macrolide antibiotics
4. Holt Oram Syndrome

Correct answer: 4. Holt Oram Syndrome

Explanation: Ans. is 'd' i.e., Holt Oram Syndrome Long OT syndrome in children Congenitalo Jarvell and Lange Nielson Syndromeo Romano Ward syndromeAcquiredo The acquired causes of long QT syndrome include drugs, electrolyte imbalance, marked bradycardia, cocaine, organophosphorus compounds, subarachnoid hemorrhage, myocardial ischemia, protein-sparing fasting, autonomic neuropathy, and human immunodeficiency virus (HIV) diseaseo Implicated drugs include the followingo Class IA and III antiarrhythmicso Macrolide antibioticso Pentamidineo Antimalarialso Antipsychoticso Arsenic trioxideo Methadone